All are true regarding Anopheles Fluviatilis except
1. Breed in moving water
2. Propagate malaria at lower densities
3. Highly anthrophilic
4. Is restricted to Andaman & nicobar islands

Correct answer: 4. Is restricted to Andaman & nicobar islands

Explanation: A. Epiroticus is restricted to Andaman & nicobar islands.